The following is also knows as "knock out drops"or "micky finn" -
1. Chloroform
2. Methyl alcohol
3. Chloral hydrate
4. Ethylene glycol

Correct answer: 3. Chloral hydrate